Lateral surface of cerebral hemisphere is supplied mainly by?
1. Anterior cerebral artery
2. Middle cerebral artery
3. Posterior cerebral artery
4. None of the above

Correct answer: 2. Middle cerebral artery

Explanation: The lateral surface of the hemisphere is mainly supplied by the middle cerebral artery. This includes the territories of the motor and somatosensory cortices which represent the whole of the body, apart from the lower limb, and also the auditory cortex and language areas.Ref: Gray's anatomy 40th edition, Chapter 17.